Restoration of choice in endodontically treated primary
secondary molar in 9-year-old child is
1. Stainless steel crown
2. Cast gold crown
3. Amalgam
4. Zinc Oxide eugenol

Correct answer: 1. Stainless steel crown